Restriction endonuclease has the following characteristics except;
1. Cut DNA in a sequence specific manner
2. Named according to the bacteria from which they are isolated.
3. Most of the DNA sequences recognized are palindromic
4. Cut DNA randomly

Correct answer: 4. Cut DNA randomly

Explanation: Ans. D. Cut DNA randomlyRestriction enzymes also known as molecular scissors are the tools used in genetic engineering. As the name suggests they cut at the restricted sites of DNA. It cut DNA chains at specific locations. Named after the discoverer. Ex. PBR 322. Plasmid discovered by Boliver and Rodrigues having 322 base pairs.